Most common cause of urethral obstruction in male children -
1. Posterior urethral valve
2. Meatal stenosis
3. Urinary tract infection
4. Urethral duplication

Correct answer: 1. Posterior urethral valve

Explanation: Ans. is 'a' i.e., Posterior urethral valve * The most common cause of obstructive uropathy in a male child is posterior urethral valve.Posterior urethral valve* These are symmetrical folds of urothelium extending distally from prostatic urethra to external urinary sphincter.* It most commonly lies just distal to the verumontanum or at the verumontanum.* It occurs only in males.* It behaves as flap valves so, although urine does not flow normally a urethral catheter can be passed without difficulty.* Sometimes, the valves are incomplete and the patient remains without symptoms until adolescence or adulthood.* Approximately 30% of patients experience end stage renal disease* Vesicoureteral reflux occurs in 50% of patients.